Cells from the neural crest are involved in all except ?
1. Hirschsprung's disease
2. Neuroblastoma
3. Primitive neuroectodermal tumour
4. Wilm. s tumour

Correct answer: 4. Wilm. s tumour

Explanation: Ans is 'd' i.e. Wilm's Tumour